Arrange the following blood components in descending order of their shelf life: A. Platelets at 20 degrees C B. FFP at -18 degrees C C. Whole blood with CPDA-1 solution at 4 degrees C D. Whole blood with CPD solution at 4 degrees C
1. A,D,B,C
2. B,C,A,D
3. D,A,C,B
4. B,C,D,A

Correct answer: 4. B,C,D,A

Explanation: Storage Temperature Shelf life Whole blood 2-6degC 21 days (in citrate-phosphate-dextrose (CPD))35 days (in citrate-phosphate-dextrose-adenine (CPDA-1)) Platelets 20-24degC 5 days FFP -18degC 1 year Cryoprecipitate -18degC 1 year